Which of the following is sign named for infrequent blinking of eyelids in grave's ophthalmopathy
1. Enroth sign
2. Stellwag sign
3. Gifford's sign
4. Vongraefe sign

Correct answer: 2. Stellwag sign

Explanation: Infrequent Blinking : Stellwag sign Grave's Ophthalmopathy Signs Enroth sign - 'e' for edemameans fullness of eyelids. Joffroy sign- absent creases in the forehead on superior gaze. Grove sign- resistance to pulling down the retracted upper lid. Stellwag sign- incomplete and infrequent blinking - still meaning 'no movement'. Ballet sign- restriction of one or more extraocular muscles. Gifford sign- difficulty in everting upper lid Jellink's sign Increased pigmentation on the lids IOP is increased in up-gaze. Von Graefe's sign - Lid lag